A women noticed mass in her left breast with bloody discharge. Histopathology revealed duct ectasia.Treatment is?
1. Simple mastectomy
2. Microdochotomy
3. Lobectomy
4. Hadfield operation

Correct answer: 4. Hadfield operation